When leukocytes are arranged along the endothelium of blood vessels it is called -
1. Diapedesis
2. Adhesion
3. Margination
4. Chemotaxis

Correct answer: 3. Margination

Explanation: Ans. is 'c' i.e., Margination